A Patient is wide eyed, very nervous with an increased systolic pressure (with widening of the pulse pressure), increased pulse rate, fine skin and hair and Loss of body weight. He is probably suffering from?
1. Hypothyroidism
2. Hyperthyroidism
3. Hyperpituitarisrn
4. Hyperparathyroidism

Correct answer: 2. Hyperthyroidism